Tardy ulnar nerve palsy is due to
1. Cubitus valgus
2. Fixation of the nerve in the groove by osteoarthritis
3. Excision of elbow joint
4. Fracture of internal condyle

Correct answer: 1. Cubitus valgus

Explanation: Tardy ulnar nerve palsy is due to cubitus valgus. Fracture of the lateral condyle of humerus in the long run can lead to complications such as Cubitus valgus. Friction neuritis of the ulnar nerve as it moves over the medial epicondayle every time the elbow is flexed and extended may result in a late ulnar nerve palsy called as 'TARDY ULNAR PALSY'.